A pregnant lady with AIDS complaint of diarrhea; on stool examination showing acid fast positive stain in cysts. She has:
1. Isospora belli
2. Microspora
3. Giardia
4. E. Histolytica

Correct answer: 1. Isospora belli

Explanation: Isospora belli